Chikungunya virus belongs to which family:
1. Enterovirus
2. Herpes virus
3. Toga virus
4. None of the above

Correct answer: 3. Toga virus

Explanation: Chikungunya is caused by the chikungunya virus, which is classified in the family Togaviridae, genus Alphavirus. Ref: